All are true regarding medical treatment of endometriosis except?
1. Oral progestins cause decidualization of endometrial tissue
2. Injectable progestagen is used once in 3 months in the management of pain of endometriosis
3. Levonorgestrel releasing intrauterine system reduces dysmenorrhoea in endometriosis
4. Gestrinone is given orally 2.5 - 5 mg per day to induce endometrial atrophy

Correct answer: 4. Gestrinone is given orally 2.5 - 5 mg per day to induce endometrial atrophy

Explanation: Gestrinone has a long half life. It is a 19-noestosterone derivative. It is given orally 2.5 to 5 mg twice weekly for 6 to 9 months. It has androgenic, antiprogestagenic, antioestrogenic and antigonadotrophic action. Ref : Shaw's Textbook of Gynaecology